A bolus of drug K is given IV. The drug is noted to follow first order kinetics. Which of the following describe the elimination of drug K
1. The rate of elimination of drug K is proportional to its concentration in the patient's plasma.
2. The rate of elimination of drug K is dependent on a nonlinear relationship to the plasma protein concentration.
3. The rate of elimination of drug K is constant.
4. The rate of elimination of drug K is proportional to the patient's renal function.

Correct answer: 1. The rate of elimination of drug K is proportional to its concentration in the patient's plasma.

Explanation: First-order kinetics means the rate of elimination of a drug is proportional to the plasma concentration. Ref:- KD Tripathi